True about physiological jaundice in neonate?
1. Occurs in first 6 hrs of delivery
2. Unconjugated hyperbilirubinemia
3. Neurological sequele are common
4. Best treated by phototherapy

Correct answer: 2. Unconjugated hyperbilirubinemia

Explanation: Ans. is 'b' i.e., Unconjugated hyperbilirubinemia